What is the site of lesion in a patient with alexia without agraphia?
1. Fusiform gyrus
2. Inferior occipital gyrus
3. Psalternum
4. Splenium

Correct answer: 4. Splenium

Explanation: Alexia without agraphia (or Pure alexia) Patient is unable to read, despite preservation of other aspects of language such as a spelling and writing. Due to lesions in left occipital cortex and posterior part of corpus callosum known as splenium. Due to interruption of visual input into language network. The blood vessel involved is posterior cerebral artery.